Barr body is found in which phase of cell cycle?
1. Interphase
2. Metaphase
3. G1 phase
4. Telophase

Correct answer: 1. Interphase

Explanation: Barr body, or X chromatin The inactive X appears in the interphase nucleus as a darkly staining small mass adjacent to the nuclear membrane Molecular basis of X inactivation involves a unique gene called XIST, XIST codes for long noncoding RNA that is retained in the nucleus, where it "coats" the X chromosome that it is transcribed from and initiates a gene-silencing process by modification of chromatin and DNA methylation.